The most common symptoms for fibroids are:
1. Severe headaches and sinus pain
2. Abnormal uterine bleeding and pelvic pressure
3. Water retention and bloating
4. Breakthrough between periods

Correct answer: 2. Abnormal uterine bleeding and pelvic pressure

Explanation: Abnormal uterine bleeding is menstrual bleeding heavy enough to interfere with your normal activities and, in some cases, it causes anemia.
In addition, pelvic pressure or pain in the pelvic region may occur because of where the fibroids are located.